The toxicity of methyl alcohol is due to:
1. Formic acid
2. Ethanol
3. Methanol itself
4. All of the above

Correct answer: 1. Formic acid